A 12 year old girl complains of pain persisting in his leg for several weeks with a low grade fever. A radiograph reveals a mass in the diaphyseal region of the left femur with overlying cortical erosion and soft tissue extension. A biopsy of the lesion shows numerous small round cells, rich in PAS positive diastase sensitive granules. The most likely histological diagnosis is -
1. Osteogenic sarcoma
2. Osteoblastoma
3. Ewing's sarcoma
4. Chondroblastoma

Correct answer: 3. Ewing's sarcoma

Explanation: Small round cells rich in PAS positive diastase sensitive granules confirms the diagnosis of Ewings sarcoma.